Measles is infectious during -
1. After 4 days of rash
2. 4 days before and 5 days after rash
3. Throughout disease
4. Only in incubation period

Correct answer: 2. 4 days before and 5 days after rash

Explanation: Period of communicability: 


Chickenpox: 1 - 2 days before to 4 - 5 days after the appearance of the rash
Measles: 4 days before to 5 days after the appearance of the rash
Rubella: 7 days before symptoms to 7 days after the appearance of the rash
Mumps: 4 - 6 days before symptoms to 7 days thereafter
Influenza: 1 - 2 days before to 1 - 2 days after onset of symptoms
Diphtheria: 14 - 28 days from disease onset
Pertussis: 7 days after exposure to 3 weeks after the paroxysmal stage
Poliomyelitis: 7 - 10 days before and after the onset of symptoms
Hepatitis A: 2 weeks before to 1 week after onset of jaundice
Hepatitis B: Till disappearance of HBs Ag & appearance of anti-HBs
Meningococcal: Until absent from nasal and throat discharge
Tuberculosis: As long as not treated